Menkes syndrome is a disorder of
1. Copper transport
2. Iron Transport
3. Sodium transport
4. Potassium Transport

Correct answer: 1. Copper transport

Explanation: Menkes kinky hair syndromeEtiologyFeaturesPrognosisX-linked metabolic disturbance of copper metabolismMutation in copper-transporting ATP7A geneIntellectual disabilityHypocupremiaDecreased circulating ceruloplasminChildren with this disease often die within 5 years because of dissecting aneurysms or cardiac rupture(Ref: Harrison's 18/e p604)